Marbling refers to
1. Pale look of the body
2. Vessels appearing as prominent lines
3. Greenish discoloration of the body
4. Degloving

Correct answer: 2. Vessels appearing as prominent lines

Explanation: Ans. is 'b' i.e., Vessels appearing as prominent lines * The signs and effects of putrefaction are as follows:1) Colour changes# The earliest sign of decomposition is greenish discoloration of body, seen in right iliac fossa externallyand under liver internally. This is due to involvement of caecum. Which contains more liquid and is full of bacteria. In these areas, it appears in 12-18 hours and slowly spread to whole body in 24-48 hours. Greenish discoloration is due to formation ofsulph-meth-haemoglobin.# Morbling occurs when Hb dissociates from RBCs and the colour of Hb is taken up by vessels, which are seen as prominent lines having purple or green or brown colour. Marbling occurs in 24-48 hours.2) Formation of foul smelling gases# Due to action of bacteria, foul smelling gases are formed, e.g. S02, H2S, ammonia, methane and COv3) Effects of gases# Bloating up of body occurs in 34-48 hours. At the same time following changes occurs:i) Appearance of stomach contents and froth on nose and mouth.ii) Degloving and destocking with appearance of putrifactive blisters.iii) Emptying of heart due to pressure of gas.# In 48-72 hours prolapse of rectum and uterus occur and postmortem delivery may occur if the dead woman is pregnant. Color of postmortem staining also changes to brown and finally to black. False rigidity (putrefactive rigidity) may occur at this time.4) Appearance of maggots# Flies lay their eggs in wounds, exposed natural orifices and exposed moist parts of the body and folds of skin, e.g. neck, axilla, nostrils, mouth etc.# Flies lay eggs in 6-12 hours after death and these eggs change in larva (maggot) in 1-2 days.# Thus maggots appear in 2-3 days after the death.# After further 4-5 days, the maggots change into pupa, which convert into adult flies in next 3-5 days.# Thus adult flies will be coming out of the body after total 8-12 days of death.* Appearance of maggot determine the time since death.5) Other late changes# In 3-5 days: Nails and teeth become loose and can be pulled out, sutures of skull may separate.# In 7-12 days: Liquefaction of body (colliquative putrefaction) occurs.# In 1-3 months : Skeletonization of dead body occurs.# Finally: Bones also decompose: Exposed bones in 1-5 years and deep burried bone (> 2 meters) in 25-100 years.6) Internal changes# Liver becomes spongy and is called as foamy or swiss cheese or honeycombed liver.# In 7-12 days lequefaction of internal organs occur.7) Floatation of body (if body is in water)# Floatation of body occurs due to accumulation of sufficient putrefactive gases. Abdomen is above (due to gases) and spine is below during floatation.# Time required for floatation is ordinarily 24 hours after death in summers and 2-3 days in winter.# Factors affecting floatation are :i) Causing early floatation: Newborn mature infant, females, in summer, clothed body, obese, in sea water and in still pond water.ii) Causing delayed floatation : Still birth/immature newborn, male, in winter, naked body, thin built, in fresh water and in running stream water.# Inspiration and expiration before death has no effect on floatation as floatation is due to putrefactive gases (not due to respiratory air).